The following group of lymph nodes receives lymphatics from the uterus except
1. External iliac
2. Internal iliac
3. Superficial inguinal
4. Deep inguinal

Correct answer: 4. Deep inguinal

Explanation: Lymphatic drainage of uterus is as follows: Body and cervix to internal iliac lymph node, fundus to para-aortic lymph node, lumbar and superficial inguinal lymph nodes. Ref - BDC Vol2 6e pg390